A 45-year-old female patient reports that over the last 3 months she has lost her appetite and interest in her usual activities, and often feels that life is not worth living. Compared with typical sleep, in this patient the percentage of REM sleep, percentage of delta sleep, and REM latency, respectively, are most likely to
1. increase, decrease, decrease
2. increase, decrease, increase
3. decrease, stay the same, increase
4. decrease, decrease, increase

Correct answer: 1. increase, decrease, decrease

Explanation: This woman's symptoms indicate that she is likely to be experiencing a major depressive episode. Sleep in major depression is associated with increased REM sleep, reduced delta sleep reduced REM latency.